Common differential diagnosis of verrucous carcinoma is :
1. Condylomata lata
2. Condylomata accuminata
3. Adenocarcinoma
4. Tuberculosis

Correct answer: 2. Condylomata accuminata

Explanation: Ans. is b i.e. Condylomata accuminata